BRCA 2 gene is associated with allof the following malignancies except -
1. Breast cancer in men
2. Breast cancer in Women
3. Ovarian Cancer
4. Uterine Cancer

Correct answer: 4. Uterine Cancer

Explanation: Ans. is 'd' i.e., Uterine Cancer o BRCA2 - is associated in particular with1. Breast cancer in both men& women2. Multiple other cancers# Ovary# Pancreas# Prostrate# Larynx